Patterson Brown Kelly syndrome is characterised by all except -
1. Lower oesophageal web
2. Iron deficiency anemia
3. Common in adult female
4. Premalignant

Correct answer: 1. Lower oesophageal web